The coagulation profile in a 13 year old girl with Menorrhagia having von Willebrands disease is:
1. Isolated prolonged aPTT with a normal PT
2. Isolated prolonged PT with a normal aPTT
3. Prolongation of both PT and aPTT
4. Prolongation of thrombin time

Correct answer: 1. Isolated prolonged aPTT with a normal PT

Explanation: - Von Willebrand factor acts as a plasma carrier of factor VIII and circulates in blood as factor VIII-VWF complex. - Thus, VWF deficiency impairs intrinsic pathway of coagulation & prolongs aPTT - Extrinsic pathway of coagulation remains unimpaired, PT is not altered.